Equivalent to macrophages are ?
1. Keratinocytes
2. Histiocytes
3. Mast cells
4. Microphages

Correct answer: 2. Histiocytes

Explanation: Ans. is 'b' i.e., Histiocytes Monocyte/Macrophages Mononuclear phagocytes (MP) also known as macrophages or histiocytes are distributed throughout virtual all tissues. The macrophage is the dominant cellular player in chronic inflammation. MP arise from monoblast in the marrow, and they are released into the circulation as monocytes. The monocytes then migrate to tissues and become part of the tissue (fixed) macrophages.